Low dietary fiber intake is related to which carcinoma?
1. Breast
2. Lung
3. Kidney
4. Colon

Correct answer: 4. Colon

Explanation: Ans. is 'd' i.e., Colon Factors increasing risk of colorectal cancerFactors decreasing risk of colorectal cancer* Low fibre diet* High intake of animal fat* Smoking and alcohol* Streptococcus bovis septicemia/ endocarditis* Ureterosigmoidoscopy* Inflammatory bowel disease (ulcerative colitis Acromegaly* Pelvic irradiation* High calorie intake and obesity* Hihgfibre diet* Fish (smoked fish) because of omega-3 fatty acid* Macronutrient: Calcium* Micronutrients: Selenium, viamin A,c & E, folic acid* NSAIDs (especially aspirin)* Estrogen replacement therapy (HRT)